Normal Prothrombin Time is?
1. 5 Second
2. 5-8 Second
3. 11-15 Second
4. 20-25 Second

Correct answer: 3. 11-15 Second